14-year-old girl with history of prolonged fever and abdominal disomfortis observed to have splenomegaly and leucopenia. In the course of the disease she develops acute abdominal event and died. Which ofthe following is the likely finding on autopsy-
1. Transverse ulcers
2. Longitudinal ulcers
3. Pinpoint ulcers
4. Pseudopolyps

Correct answer: 2. Longitudinal ulcers